Earliest symptom showing improvement from classical triad of Wernicke's incephalopathv. to thiamine therapy ?
1. Ataxia
2. Ophthalmoplegia
3. Confusion
4. All are equally responsive

Correct answer: 2. Ophthalmoplegia

Explanation: Ans. is 'b' i.e., Ophthalmoplegia Response to thiamine treatment in Wernicke's encephalopathy Ocular symptoms :- Earliest to respond, ophthalmoplegia (ocular palsies) improves within hours of thiamine administration. However, horizontal nystagmus may persist. Ataxia :- Ataxia responds more slowly than ocular palsies and half the patients recover incompletely with a residual ataxia. Encephalopathy :- Confusion and other CNS symptoms improve more slowly. As the symptoms of encephalopathy improve, Korsakoff's syndrome may become apparent in some patients